A drug that blocks the uptake of dopamine and norephinephrine into presynaptic Nerve terminals and also block sodium channels in the axonal membrane is
1. Cocaine
2. Ephedrine
3. Imipramine
4. Floxentine

Correct answer: 1. Cocaine

Explanation: Ref-KDT 6/e p117 It is a local anaesthetic agent(act by inhibiting Na+ channel in the axonal membrane) that also possess indirect sympathomemtic activity